Difference in Acne rosacea & Acne vulgaris
1. Pustule
2. Erythema
3. Papule
4. Absence of comedone

Correct answer: 4. Absence of comedone

Explanation: Erythema and papulo-pustule (papules and pustules) are seen both in Acne rosacea and Acne vulgaris Comedones are absent in Acne rosacea (a characteristic feature of Acne vulgaris) Ref Harrison 20th edtion pg 1213